Which of the following is involved in 1 carbon metabolism?
1. Folic acid
2. Thiamine
3. Pyridoxine
4. Vitamin B12

Correct answer: 1. Folic acid

Explanation: The folic acid is first reduced to 7, 8 - dihydrofolic acid and further reduced to 5,6,7,8- tetrahydro folic acid ( THFA ).Both reactions are catalyzed by NADPH dependent folate reductase. The THFA is the carrier of one- carbon groups.One carbon compound is an organic molecule that contains only a single carbon atom.The following groups are one carbon compounds are: 1.Formyl ( -CHO) 2.Formimino ( - CH=NH) 3.Methenyl ( - CH=) 4.Methylene (-CH2-) 5.Hydroxymethyl ( - CH2OH) 6.Methyl (- CH3 ). REFERENCE: DM.VASUDEVAN.TEXTBOOK SEVENTH EDITION PAGE NO 489